Which of the following statements about contrast in radiography is true -
1. Ionic monomers have three iodine atoms per two particles in solution
2. High osmolar contrast agents may be ionic or non ionic
3. Gadolinum may cross the blood brain barrier
4. Iohexol is a high osmolar contrast media

Correct answer: 1. Ionic monomers have three iodine atoms per two particles in solution

Explanation: option A is correct : Ionic monomers have three iodine atoms per two particles in solution Ionic dimers and non ionic monomers have three iodine atoms per one particle in solution Non ionic dimers have six iodine atoms per one particle in solution option B is incorrect : High osmolar agents (ionic monomers) are only ionic low osmolar agents may be ionic or non ionic iso osmolar agents are only non ionic option C is incorrect : Gadolinium does not cross Blood brain barrier (BBB) option D is incorrect : Iohexol is low osmolar (non ionic monomer)